Antemortem blister differs from postmortem blister by
1. Presence of Albumin & Chloride in blister fluid
2. Gas in blister
3. Dry hard surface of the floor of blister
4. Absence of hyperemia around the blister

Correct answer: 1. Presence of Albumin & Chloride in blister fluid

Explanation: The first picture shows postmortem blister, the second one is antemortem blister. The antemortem blister : Has no gas and hyperemia is due to increased permeability of capillaries is prominent. Blisters are found mainly in scalds and heat burns which contains albumin and chlorides. Are mostly produced during burns. Surrounded by an area of hyperemia (Floor is reddened with swelling of papillae) Features of postmortem blisters :- No surroundinghyperemia- Floor is not reddened